The lymphatic drainage of the vulva is to the...:
1. Inguinal lymphnodes
2. Iliac lymphnodes
3. Para aortic lymphnodes
4. Mediastinal nodes

Correct answer: 1. Inguinal lymphnodes

Explanation: Inguinal lymphnodes